Which cervical vertebra has lateral mass:
1. Atlas
2. Axis
3. C5
4. C7

Correct answer: 1. Atlas

Explanation: Lateral masses are the most bulky and solid parts of the atlas, in order to support the weight of the head. Each carry two articular facets, a superior and an inferior. fig:- atlas C1